Resting membrane potential of neuron is
1. +70mv
2. -70mv
3. +90mv
4. -90mv

Correct answer: 2. -70mv

Explanation: The magnitude of resting membrane potential from tissue to tissue ranges from - 9 to - 100.RMP of nerve Fibre is - 70mV(REF: TEXTBOOK OF MEDICAL PHYSIOLOGY GEETHA N 2 EDITION, PAGE NO 22)